Non-inflammatory, non-neoplastic enlargement of the salivary gland is called as:
1. Sialadentis
2. Sialosis
3. Ptyalism
4. Sialorrhea

Correct answer: 2. Sialosis